Intranasal calcitonin is given for a 65 year old post-menopausal lady. What is the likely indication?
1. Paget's disease
2. Osteoporosis
3. Hypercalcemia
4. Osteopetrosis

Correct answer: 2. Osteoporosis

Explanation: Calcitonin-salmon is a hormone that decreases osteoclast activity, thereby impeding postmenopausal bone loss. It is indicated for the treatment of women who are more than 5 years post menopause and have low bone mass relative to healthy premenopausal women. It is available as an injection and as an intranasal spray. The intranasal spray is delivered as a single daily spray that provides 200 IU of the drug.